Zinc deficeincy result in -
1. Loss of libido
2. Poor weight gain
3. Sexual infantilism
4. All of the above

Correct answer: 4. All of the above